Drug of choice in simple partial seizure is –
1. Phenytoin
2. Valproic acid
3. Carbemazepine
4. Phenobarbitone

Correct answer: 3. Carbemazepine

Explanation: DOC for generalized tonic clonic seizure (Grand mal), absence seizure (Petit mal), Atonic seizure, myoclonic epilepsy → valproate.
DOC for partial seizure → carbamazepine / oxcarbazepine
DOC for status epilepticus → IV lorazepam
DOC for febrile seizures → Rectal Diazepam
DOC for seizure of eclampsia → Magnesium sulfate.
DOC for infantile spasm → Vigabatrin..
DOC for myoclonic epilepsy → Valproic acid.